The most common complication seen in hiatus hernia is:
1. Esophagitis
2. Aspiration pneumonitis
3. Volvulus
4. Esophageal stricture

Correct answer: 1. Esophagitis

Explanation: The most common complication seen in hiatus hernia is Esophagitis. Signs & Symptoms of hiatus hernia- Type I - Reflux Type II - Herniation of fundus leading to ischemia which can cause abdominal pain Type III - Reflux and Abdominal pain Type IV - High risk of ischemia and strangulation (Abdominal pain + increased risk of complications)